Apple core lesion is seen in
1. Diverticulosis
2. Diverticulitis
3. Ca- colon
4. Intussusception

Correct answer: 3. Ca- colon

Explanation: The Radiological hallmarks of the classic colonic Apple core lesion are short, sharply defined regions of annular colonic narrowing with overhanging margins; ulcerated mucosa; and eccentric, irregular lumen. An apple core lesion can have a number of causes, the most serious being malignant neoplasm.